Which of the following enzymes found in the liver is involved in gluconeogenesis during the postabsorptive state?
1. Glucose-6-phosphate dehydrogenase
2. 6-phosphogluconate dehydrogenase
3. Glucose-6-phosphatase
4. Glucokinase

Correct answer: 3. Glucose-6-phosphatase

Explanation: Glucose-6-phosphate dehydrogenase and 6-phosphogluconate dehydrogenase are irreversible enzymes in the pentose phosphate pathway. Glucokinase is involved with phosphorylation of glucose when hepatic concentrations of glucose are high. Glucose-6-phosphatase hydrolyzes glucose-6-phosphate to form free glucose as the final step in gluconeogenesis.